Malampatti grading is for
1. Mobility of cervical spine
2. Mobility of atlanto axial joint
3. Assessment of free rotation of neck before intubation
4. Inspection of oral cavity before intubation

Correct answer: 4. Inspection of oral cavity before intubation

Explanation: D i.e. Inspection of oral cavity before intubation Malampatti grading is for assessment of difficult air way (inspection of oral cavity for intubation)Q